Ladder tears are seen in
1. Carotid arteries
2. SVC
3. Descending aorta
4. IJV

Correct answer: 3. Descending aorta

Explanation: Horizontal tears of the aortic intima that occur in deceleration injuries which are linked to compression by the anterior face of the vertebral column Ref: medical dictionary